A 45 years Female came with a 4 cm nodule in thyroid which on FNAC revealed papillary cell carcinoma. Level III lymphnodes are also involved. How do you treat this patient?
1. Hemithyroidectomy + Central lymph node dissection
2. Subtotal thyroidectomy
3. Total thyroidectomy + Modified radical neck dissection
4. Only total thyroidectomy

Correct answer: 3. Total thyroidectomy + Modified radical neck dissection